Sclera buckling is used for treatment of ?
1. Cataract
2. Scleritis
3. Retinal detachment
4. Vitreous hemorrhage

Correct answer: 3. Retinal detachment

Explanation: Ans. is 'c' i.e., Retinal detachment Treatment of retinal detachment Retinal detachment surgery consists of three components : sealing retinal tears, reducing the vitreous traction on the retina and flattening of retina. It is important to find all retinal tears (holes) and seal them by laser photocoagulation, diathermy or cryoapplication. Scleral buckeling or external plombage or encirclage is a procedure to push the wall of sclera inwards to close the tear, reduce the traction and flatten the retina. Drainage of subretinal fluid helps to flatten the retina against the sclera. Intravitreal surgery (vitrectomy and gas injection) may also be employed.